Cementicles are found in the
1. Gingiva
2. Periodontal ligament
3. Alveolar bone
4. Cementum

Correct answer: 2. Periodontal ligament